GLUT responsible for secretion of insulin from beta cells of pancreas -
1. 1
2. 2
3. 3
4. 4

Correct answer: 2. 2

Explanation: Ans. is 'b' i.e., 2 o Glucose enters the B celts of pancreatic islets via GLUT2 transporter and this stimulate the release of insulin, FunctionMajor sites of expressionSecondary active transport(Na+-glucose cotransport) o SGLT1Absorption of glucoseSmall intestine, renal tubuleso SGLT 2QAbsorption of glucoseRenal tubules QFacilitated diffusionoGLUT1Basal glucose uptakePlacenta, Blood-brain barrier, brain. RBC,Kidney, colono GLUT 2 B-cell glucose sensor Q,Transport out of intestinal and renal epithelial cellsB cells of islets, liver, epithelial cells of small intestine & Kidneyo GLUT 3Basal glucose uptakeBrain, Placenta, Kidneyo GLLT4 QInsulin-stimulating glucose uptake QSkeletal and cardiac muscle Q,Adipose tissueo GLUT 5 QFructose transport QJejunum, spermo GLUT6NonePseudogeneoGLUT7G-6-P transporter in ERLiver